The active principal in calotropis is all, except
1. Calotoxin
2. Calactin
3. Uscharin
4. Bhilawanol

Correct answer: 4. Bhilawanol

Explanation: Bhilawanol is an active principle of Semecarpaus anacardium. Active principles of calotropis: Uscharin, calotoxin and calotropin